The characteristic burnt rope odour is caused by toxin of:
1. Cannabis
2. Tobacco
3. Strychnine
4. Chloral hydrate

Correct answer: 1. Cannabis

Explanation: Ans. a. Cannabis